Corpus luteum secretes
1. Progesterone
2. Oestrogen
3. Inhibin
4. All of the above

Correct answer: 4. All of the above

Explanation: D. i.e. (All of the above) (80 - Dutta 4th) (28 - 29- Shaw14th)* Predominantly progesterone is secreted by the corpus luteum to support the endometrium of the luteal phase. There is also secretion of oestrogen, inhibin and relaxin*** Progesterone along with oestrogen from corpus luteum maintains the growth of the fertilized ovum* Corpus luteum reaches maximum maturity by the 22nd day of the normal cycle (2 cm or more)* Corpus luteal fluid contains - Phospholipids, cholesterol and carotene (yellow colour - Lutein) *** The regression is attributed to fall in LH and rise in the level of oestrogen and PGF2 a**Corpus luteum of pregnancy* There is surge of hyperplasia of all the layers between 23rd to 28th day due to chorionic gonadotrophin, hCG like LH will stimulate corpus luteum to secrete progesterone* The corpus luteum of pregnancy is functionally active upto the 10 to 12th week in human beings**